Population of 1000 is covered by – a) Anganwadi workerb) Health assistantc)  Trained Daid)  Village health guide
1. abc
2. ad
3. bc
4. acd

Correct answer: 4. acd

Explanation: Population of 1000 is covered by :


Anganwadi worker
Trained Dai
Village health guide

About option 'b'
A Health assistant → Per 30000 population in plains, and per 20000 population in hilly, tribal and backward areas.